Drug CONTRAINDICATED in glaucoma patients suffering from bronchial asthma is:
1. Betaxolol
2. Brimonidine
3. Timolol maleate
4. Latanoprost

Correct answer: 3. Timolol maleate

Explanation: Ans. C i.e. Timolol maleate Contraindications of Timolol maleate Bronchial asthma; A history of bronchial asthma; Severe chronic obstructive pulmonary disease Sinus bradycardia; Second or third degree atrioventricular block; Overt cardiac failure Cardiogenic shock; Hypersensitivity to any component of this product.